Drug resistant in tuberculosis is due to ?
1. Transformation
2. Transduction
3. Conjugation
4. Mutation

Correct answer: 4. Mutation

Explanation: Drug resistance in M.tb is by Mutation in Chromosomes Metabolic defects occur as a result of mutation Eg - M.tb is normally catalase +ve INH resistant M.tb are Catalase -ve